Young singer at local music theatre complains of vocal difficulties. On examination, she is unable to abduct vocal cords during quiet breathing. Which of the following muscles is most likely to be paralyzed?
1. Vocalis muscle
2. Cricothyroid muscle
3. Oblique arytenoid muscle
4. Posterior cricoarytenoid muscle

Correct answer: 4. Posterior cricoarytenoid muscle

Explanation: Posterior cricoarytenoid muscle is the only muscle that abducts vocal cords during quiet breathing. All other laryngeal muscles adduct the vocal cords.